Apoptosis is characterized by all of the following EXCEPT
1. DNA fragmentation
2. Chromatin condensation
3. Cell shrinkage
4. Inflammation

Correct answer: 4. Inflammation

Explanation: (D) Inflammation # Cell undergoing apoptosis shows a characteristic morphology:> Cell shrinkage and rounding are shown because of the breakdown of the proteinaceous cytoskeleton by caspases.> Cytoplasm appears dense, and the organelles appear tightly packed.> Chromatin undergoes condensation into compact patches against the nuclear envelope (also known as the perinuclear envelope) in a process known as pyknosis, a hallmark of apoptosis,> Nuclear envelope becomes discontinuous and the DNA inside it is fragmented in a process referred to as karyorrhexis.> Nucleus breaks into several discrete chromatin bodies or nucleosomal units due to the degradation of DNA.> Cell membrane shows irregular buds known as blebs.> Cell breaks apart into several vesicles called apoptotic bodies, which are then phagocytosed.